Which of the vitamin deficiency lead to lactic acidosis?
1. Riboflavin
2. Thiamin
3. Niacin
4. Panthotheic acid

Correct answer: 2. Thiamin

Explanation: thiamine deficiency in alcoholism may cause impairment of conversion of pyruvate to acetyl-CoA the result is increased plasma concentration of pyruvate and lactate, leading to lactic acidosis ref DM Vasudevan 8th ed page 467